What is the stage of ovarian Ca with superficial liver metastasis with B/L ovarian mass:
1. Stage I
2. Stage II
3. Stage III
4. Stage IV

Correct answer: 3. Stage III